In PHC how to dispose placenta -
1. Incineration
2. Microwaving
3. Autoclaving
4. Chemical treatment

Correct answer: 1. Incineration

Explanation: - placenta is a human anatomical waste that comes under category no 1. - category no 1 wastes are discarded in yellow colour plastic bag and should be treated by incineration. Reference: Park's textbook of preventive and social medicine, 23rd edition, pg no: 793,794